Sample registration is done
1. Every 3 months
2. Every 6 months
3. Every 9 months
4. Every 12 months

Correct answer: 2. Every 6 months

Explanation: Sample registration system (SRS) SRS is taken once every 6 months It is a dual record data collection system of India Therefore, it is the most accurate data collection system of India